Which of the following Intrauterine device has a minimum failure rate
1. Progestasert
2. Cu T-380 A
3. Levonorgestrel IUD
4. T Cu -200

Correct answer: 3. Levonorgestrel IUD

Explanation: Mirena (Levonorgestrel IUD) has least failure rate among IUD's Contraceptive implants (Implanon) have the least failure rates among all contraceptive methods. Ref : Park 23rd edition Pgno : 496